Rose's position is extension at
1. C1 and C2 joint
2. Atlanto - occipital joint
3. C3 and C4
4. C5 and C6

Correct answer: 2. Atlanto - occipital joint